Which of the following anti-Parkinson drugs has the potential to cause retro peritoneal fibrosis:
1. Pramipexole
2. Entacapone
3. Bromocriptine
4. Ropinirole

Correct answer: 3. Bromocriptine